An 70 yrs. aged patient with epistaxis , patient is hypertensive with B.P = 200/110 mm Hg. On examination no active bleeding noted, next step of management is:
1. Observation with hypertension control
2. Internal maxillary artery ligation
3. Anterior and posterior nasal pack
4. Anterior nasal pack

Correct answer: 1. Observation with hypertension control

Explanation: Ans. is 'a' i.e Observation with hypertension control MC cause of epistaxis in elderly is hypertension *.In cases of active bleeding it is controlled by anterior or posterior nasal packingArtery ligation is helpful only if bleeding cannot be controlled by conservative measures.Since in this patient there is no active bleeding and further the cause is hypertension the management is observation & antihypertensives.Remember:MC cause of epistaxis in children & adults - finger nail trauma *.MC site of epistaxis is- little's area *MC cause of epistaxis in a 15 yr old female- Hematopoietic disorder *.